Which of following is not seen in nephritic syndrome-
1. Edema
2. Hematuria
3. HTN
4. Hypocholestreremia

Correct answer: 4. Hypocholestreremia

Explanation: Ans. is 'd' i.e., Hypocholesterolemia Nephritic syndromeo Sudden onset of:Gross hematuriaEdemaHyperkalemiaRenal insufficiencyo Most common cause - Acute poststreptococcal glomerulonephritis.